Which of the following is the main colonizer of sebaceous gland -
1. Propionic bacterium acnes
2. Diptheria
3. Strep.pyogens
4. Staph. aureus

Correct answer: 1. Propionic bacterium acnes

Explanation: Propionibacterium acnes are the commonest agent causing acne in teenagers as it has affinity for sebaceous glands.
Lesions in acne develop with in the sebaceous follicle.